Snow ball opacities are seen in
1. Acute anterior uveitis
2. Posterior uveitis
3. Pars planitis
4. None of the above

Correct answer: 3. Pars planitis

Explanation: (Refer: AK Khurana Comprehensive Ophthalmology, 6th edition, pg no. 150 - 151)Pars planitis (Intermediate uveitis) denotes the inflammation of pars plan part of the ciliary body and most peripheral part of the retina. The most common symptom is floaters; defective vision may also occurFundus examination in pars planitis reveals whitish exudates present near the ora serrata in the inferior quadrant. These typical exudates are referred as snowball opacities. These may coalesce to form a grey-white plaque called snow banking.